Hickey-Hare test is used to diagnose -
1. Congenital pyloric stenosis
2. Duodenal atresia
3. Achlasia cardia
4. Diabetes insipidus

Correct answer: 4. Diabetes insipidus

Explanation: Ans. is 'd' i.e., Diabetes insipidus Hypertonic saline infusion test that induces plasma hyperosmolality. Used for distinguishing between different causes of polyuria and polydipsia.